The intermediate filaments of epithelium are
1. Glial filaments
2. Desmin
3. Vimentin
4. Cytokeratin

Correct answer: 4. Cytokeratin